A depot contraceptive DMPA is to be given every
1. 1 month
2. 3 months
3. 2 months
4. 6 months

Correct answer: 2. 3 months